Trident hand seen in -
1. Achondroplasia
2. Mucopolysaccharidosis
3. Diphyseal achlasia
4. Cleido- cranial dystosis

Correct answer: 1. Achondroplasia

Explanation: Trident hand is seen in Achondroplasia.